A posteriorly perforating ulcer in the pyloric antrum of the stomach is likely to produce initial localized peritonitis or abscess formation in the
1. Greater sac
2. Right subhepatic/hepatorenal space (pouch of Morison)
3. Omental bursa
4. Right subphrenic space

Correct answer: 3. Omental bursa

Explanation: Stomach rupture posteriorly causes peritonitis or abcess formation in lesser sac or omental bursa whereas rupture anteriorly causes abscess formation in greater sac whereas in supine posture abcess formation occurs in pouch of Morison which is dependent part of stomach.